Which of the following explanations is not an explanation for decreased variability of the fetal heart tracing?
1. Fetal"sleep state"
2. Prematurity
3. Barbiturate ingestion
4. Fetal stimulation

Correct answer: 4. Fetal stimulation

Explanation: The external sound stimulates the fetus provoking fetal heart rate acceleration in cases thought be nonreactive.This is termed startle response refer pgno:510 sheila textbook of obstetrics